Renal toxicity though negligible is associated with which of the following?
1. Entecavir
2. Telbivudine
3. Tenofovir
4. Lamivudine

Correct answer: 3. Tenofovir

Explanation: Tenofovir is an acyclic nucleotide analogue and potent antiretroviral agent used to treat both wild-type and lamivudine-resistant HBV. Side effects: Negligible renal toxicity and mild reduction in bone density. Note: Telbivudine, a cytosine analogue Side effects: Asymptomatic creatine kinase elevation and peripheral neuropathy. Entecavir, a cyclopentyl guanosine analogue polymerase inhibitor (the most potent of the HBV antivirals) Lamivudine, inhibits reverse transcriptase activity of both HIV and HBV and is a potent and effective agent for patients with chronic hepatitis B. Ref: Harrison, Edition-18, Page-2573